All are liver function test alterations in bacterial sepsis, EXCEPT:
1. Elevation of bilirubin with normal liver enzymes
2. LFT alteration is due to the endotoxemia
3. Endotoxemia impairs transport of anions, resulting in impaired bile flow
4. Jaundice is always associated with leukocytes

Correct answer: 4. Jaundice is always associated with leukocytes

Explanation: JAUNDICE IN BACTERIAL SEPSIS (1) Disproportionate increase in serum bilirubin compared to aminotransferase and ALP (2) It can appear even without fever / hypotension, Leukocytosis (3) Mechanisms : Endotoxin mediated cytokine activation (4) It impairs transport of anions in both sinusoidal and canalicular membranes resulting in impaired bile flow Ref: schiff's diseases of liver : E - 11, P - 232.